True about Ca vulva associated/predisposed by:
1. Paget's disease
2. Vulval intraepithelial neoplasia
3. Bowen's disease
4. All of the above

Correct answer: 4. All of the above